All are true about stored blood, except
1. Can be stored for 40 days
2. Good source of platelets
3. Levels of Potassium increased
4. Deficient Factors V and VIII

Correct answer: 2. Good source of platelets

Explanation: (B) Good source of platelets> Potassium intoxication; Stored blood may contain up to 30 mmol/l of potassium by its expiry date.> Citrate intoxication may cause tremors, arrhythmias, acidosis and hypocalcaemia.> Like platelets, clotting factors VIII and V are labile and their levels fall quickly.> Currently blood is allowed to be kept in blood banks for up to 42 days# Stored blood is deficient of:> WBC> Platelets (after 24 hours)> Factors V and VIII> CPD blood has a shelf- life of 3 weeks.> In stored blood the RBC suffer a temporary reduction after 24 hours in their ability to release oxygen to the tissues of recipients.> So if massive transfusion is required 2 units of blood < 7 days old is transfused.> Storage temperature -> - 4degC +- 2degC.(Source: Website)